Ovulation is due to surge of:
1. FSH
2. LH
3. Prolactin
4. TSH

Correct answer: 2. LH

Explanation: Ans. B: LH